Commonest variety of carcinoma stomach is:
1. Squamous carcinoma
2. Adenocarcinoma
3. Colloid carcinoma
4. None

Correct answer: 2. Adenocarcinoma